Beta 2 selective agonist are often effective in
1. Angina due to cornary insufficiency
2. Asthama
3. Delayed labour
4. All the above

Correct answer: 2. Asthama

Explanation: Ref-KDT 6/e p127 Beta 2 agonist are useful in premature uterine contraction to delay labour and not for delayed labour. Beta blockers are used in the treatment of the angina